Which of the following anti–arrythmic drug decreases the action potential duration in purkinje fibers ?
1. Quinidine
2. Flecainide
3. Amiodarone
4. Lignocaine

Correct answer: 4. Lignocaine